Priapism occurs in:
1. Snakebite.
2. Ratti poisoning
3. Cantharide poisoning
4. Arsenic poinsoning

Correct answer: 3. Cantharide poisoning

Explanation: C i.e. Cantharide Poisoning Cantharidin is an animal poison produced by cantharides (Spanish fly or blister beetle). It causes vesicle or blister formation (on local application), strangury and priapismQ (on ingestion)